In poliomyelitis which part of spinal canal is involved:
1. Anterior horn
2. Lateral horn
3. Posterior horn
4. Medial horn

Correct answer: 1. Anterior horn